Which of the following is not a predisposing factor for Preeclampsia?
1. Anti-phospholipid antibody
2. Smoking
3. Gestational diabetes
4. Molar pregnancy

Correct answer: 2. Smoking

Explanation: Ans:B.) Smoking REF: William's obstetrics 22nd edition Although smoking during pregnancy causes a variety of adverse pregnancy outcomes, ironically, smoking has consistently been associated with a reduced risk of hypertension during pregnancy (Bainbridge and associates, 2005; Zhang and colleagues, 1999). Placenta previa has also been reported to reduce the risk of hypertensive disorders in pregnancy (Ananth and colleagues, 1997). Underlying Causes of Chronic Hypertensive Disorders: Essential familial hypertension (hypertensive vascular disease) Obesity Arterial abnormalities Renovascular hypertension Coarctation of the aorta Endocrine disorders Diabetes mellitus Cushing syndrome Primary aldosteronism Pheochromocytoma Thyrotoxicosis Glomerulonephritis (acute and chronic) Renoprival hypertension Chronic glomerulonephritis Chronic renal insufficiency Diabetic nephropathy Connective tissue diseases Lupus erythematosus Systemic sclerosis Periarteritis nodosa Polycystic kidney disease Acute renal failure